Which of the following is an example of atavistic epiphysis?
1. Greater trochanter
2. Head of femur
3. Upper end of radius
4. Coracoid process of scapula

Correct answer: 4. Coracoid process of scapula

Explanation: Ans. is 'd' i.e., Coracoid process of scapula YPES OF EPIPHYSES: Pressure epiphysis o Articular and takes part in weight transmission o Examples: Head of femur Condyles of tibia Lower end of radius Traction epiphysis o Non articular and does not take part in weight transmission o Provide attachment to a tendon which exerts traction o Examples: Trochanter of femur Tubercles of humerus Mastoid process Atavistic epiphysis o Phylogeneticallv an independent bone, which in man becomes fused to another bone o Examples:Coracoid process of the scapula Posterior tubercle of talus Os trigonum Aberrant epiphysis Not always present Examples: Head of 1 st metacarpal Base of other metacarpals